Most common site of cholangiocarcinoma?
1. Distal biliary duct
2. Hilum
3. Intrahepatic duct
4. Multifocal

Correct answer: 2. Hilum

Explanation: Most common site for cholangiocarcinoma is perihilar region(65%).Distal part of duct constitutes 25% &Intrahepatic part constitutes around 10%. Reference:SRB's manual of surgery,5th edition,page no:661.